Agglutination with 'O' antigen of S. typhi is inhibited by -
1. Vi antigen
2. Pili antigen
3. Flagellar antigen
4. All of the above

Correct answer: 1. Vi antigen